Position for orotracheal intubation –
1. Extension of neck and atlanto-occipital joint
2. Extension of only neck
3. Flexion of neck only
4. Flexion of neck and extension of atlanto-occipital joint

Correct answer: 4. Flexion of neck and extension of atlanto-occipital joint

Explanation: Optimal head neck for ET intubation is obtained by flexion of the neck and extension of the atlanto-occipital joint.